A 50-year-old patient presented with attacks of the intractable nausea, vomiting and hiccups. Even after giving medication the attack didn't subside. MRI head All of the following are true about the structure involved except: -
1. Bilaterally paired structure, located at the caudal limit of the floor of the fourth ventricle.
2. Chemoreceptive area that triggers vomiting in response to the presence of emetic substances in the blood
3. Along with nucleus tractus solitarius and the dorsal motor nucleus of the vagus, it makes up the so-called dorsal vagal complex
4. Poorly vascularized structure with high permeability for circulating blood signals

Correct answer: 4. Poorly vascularized structure with high permeability for circulating blood signals

Explanation: The structure affected in the above condition is Area postrema. The area marked on the MRI images is the area postrema. Area postrema: - B/L paired Located at caudal limit of floor of the 4th ventricle Chemoreceptive area Triggers vomiting in response to presence of emetic substances in blood. Dorso-vagal complex = NTS+ Dorsal nucleus of vagus Densely vascularized structure Has high permeability for circulating blood signals